Using pit and fissure sealant is:
1. Specific protection
2. Early diagnosis and treatment
3. Secondary prevention
4. Limitation of disability

Correct answer: 1. Specific protection